Not a carcinogen for bladder cancer -
1. Benzidine
2. Isoprospyl alcohol
3. Acrolein
4. Phenacetin

Correct answer: 2. Isoprospyl alcohol

Explanation: Certain industrial chemicals have been linked with bladder cancer. Chemicals called aromatic amines, such as benzidine and beta-naphthylamine, which are sometimes used in the dye industry, can causebladder cancer. ... Cigarette smoking and workplace exposures can act together to cause bladder cancer. The most common risk factor is cigarette smoking, although smoking cigars and pipes can also raise the risk of developingbladder cancer. Smokers are 4 to 7 times more likely to develop bladder cancer than nonsmokers. Learn more about tobacco's link to cancer and how to quit smoking. Age.